The greatest volume of gastric secretion occurs during:
1. Cephalic phase
2. Gastric phase
3. Intestinal phase
4. Deglutition

Correct answer: 2. Gastric phase

Explanation: B: The gastric phase is the period of greatest gastric secretion. This phase is responsible for the greatest volume of gastric secretions, and it is activated by the presence of food in the stomach.
A: The cephalic phase of stomach secretion is anticipatory and prepares the stomach to receive food. In the cephalic phase, sensations of taste, the smell of food, stimulation of tactile receptors during the process of chewing and swallowing, and pleasant thoughts of food stimulate centers within the medulla oblongata that influence gastric secretions.
C: The intestinal phase of gastric secretion primarily inhibits gastric secretions. It is controlled by the entrance of acidic chyme into the duodenum. The presence of chyme in the duodenum initiates both neural and hormonal mechanisms.
D: Deglutition the action or process of swallowing.